Metabolic acidosis may result due to?
1. Diabetic ketoacidosis
2. Diarrhea
3. Renal failure
4. All of the above

Correct answer: 4. All of the above

Explanation: Metabolic acidosis can occur because of an increase in endogenous acid production (such as lactate and ketoacids), loss of bicarbonate (as in diarrhea) or accumulation of endogenous acids (as in renal failure). Metabolic acidosis has profound effects on the respiratory, cardiac and nervous systems.